DNA transfer in bacteria phage is:
1. Conjugation
2. Transduction
3. Transformation
4. Translation

Correct answer: 2. Transduction

Explanation: Transformation There is direct uptake of donor DNA by the recipient cell, which may be natural or forced. Transduction - donor DNA is carried in a bacteriophage and is transferred to the recipient by the mechanism used for phage infection , two type lytic and lysogenic Lysogenic conversion, bacteriophages exhibit two types of cycles, virulent or lytic cycle where the host bacterium is lysed and the temperate or nonlytic cycle where host bacterium is unharmed. Eg diphteria Conjugation- The donor cell contributes energy and building blocks to the synthesis of a new DNA strand, which is physically transferred into the recipient cell, usually by a tube called a sex pilus. Transferable drug resistance mediated by the R factor is the most important method of drug resistance Mutational resistance is of great importance in tuberculosis. If a patient is treated with streptomycin alone, initially the appear and multiply unchecked. If two or more anti-re-population by resistant mutants does not occur, as a mutant resistant to one drug will be destroyed by the other drug.